Periventricular calcification is often due to:
1. Toxoplasmosis
2. Cytomegalic infection
3. Congenital syphilis
4. All of the above

Correct answer: 2. Cytomegalic infection

Explanation: B i.e. Cytomegalovirus